Most common type of psoriasis is
1. Plaque
2. Guttate
3. Pustular
4. Inverse

Correct answer: 1. Plaque

Explanation: Psoriasis is one of the most common chronic inflammatory skin disease charecterised by well defined erythematous plaque with silvery white scales. the distribution is variable, but mostly symmetrical and seen extensor areas. The scales are loosely adherent and on complete removal of scales, a red moist surface ( Burkeley membrane) is seen. On further scraping, punctate bleeding points are seen due to suprapapillary thinning and capillary dilation. it is called auspitz sign. Occasionally a surrounding zone of hypopigmentation is seen usually associated with treatment.It is called woronoff's ring and it is the first sign that patient is responding to treatment. The most common variety of psoriasis is called plaque-type. The other types are guttate psoriasis, inverse or flexural psoriasis ,pustular psoriasis, scalp psoriasis, palmoplantar psoriasis, nail psoriasis. Inverse psoriasis affects the intertriginous regions, including the axilla, groin, submammary region, and navel; it also tends to affect the scalp, palms, and soles. Guttate psoriasis (eruptive psoriasis) is most common in children and young adults. It develops acutely in individuals without psoriasis or in those with chronic plaque psoriasis. Patients present with many small erythematous, scaling papules, frequently after upper respiratory tract infection with b-hemolytic streptococci pustular psoriasis, patients may have disease localized to the palms and soles, or the disease may be generalized. Regardless of the extent of disease, the skin is erythematous, with pustules and variable scale. Localized to the palms and soles, it is easily confused with eczema. Ref: Harrison 19e pg: 347